Wolf Chaikoff effect:
1. Iodine induced hypothyroidism
2. Iodine induced hyperthyroidism
3. Thyrotoxicosis due to excessive amount of thyroid hormone ingestion
4. Drug induced hyperthyroidism

Correct answer: 1. Iodine induced hypothyroidism

Explanation: Answer is A (Iodine Induced Hypothyroidism) Repeat Iodine Induced Transient Suppression of Thyroid Gland is called Wolf Chaikoff Effect.